Which of the following electrolyle disturbances are observed in cirrhotic patients?
1. Hypovolemic hyponatremia
2. Euvolemic hyponatremia
3. Hypervolemic hyponatremia
4. Euvolemic hypernatremia

Correct answer: 3. Hypervolemic hyponatremia

Explanation: Congestive Heart Failure (CHF), cirrhosis, and nephrotic syndrome all are causes of hypervolemic hyponatremia. Reference: Harrisons Principles of Internal Medicine, 18th Edition, Page 345